Low CSF protein may be seen in all of the following conditions, except
1. Recurrent lumbar puncture
2. Hypothyroidism
3. Pseudotumor cerebri
4. Infants

Correct answer: 2. Hypothyroidism

Explanation: CSF protein is high in Hypothyroidism.